False about PSC
1. PSC in UC, the association is 30%
2. Low incidence of cholangitis
3. Increased incidence of colonic carcinoma in PSC+UC
4. Despite the presence of diffuse disease, hepatic duct bifurcation is most severely structured segment

Correct answer: 1. PSC in UC, the association is 30%

Explanation: Primary sclerosing cholangitis PSC is a cholestatic liver disease characterized by fibrotic strictures involving intrahepatic and extrahepatic biliary tree in the absence of a known precipitating cause More common in HLA B8/DR3 Incidence of UC in PSC ranges from 75-80% PSC is present in 5.5% of patients with chronic UC Ref: Sabiston 20th edition Pgno :1508-1509